Extremely LBW child is defined as-
1. less than 2500 gm
2. less than 2000 gm
3. less than 1500 gm
4. less than 1000 gm

Correct answer: 4. less than 1000 gm

Explanation: Ans. is 'd' i.e., Less than 1000 gm * Following terms are related to birth weight and maturity of a neonate at birth1) Low birth weight# Any neonate weighing less than 2500gm (2[?]5 kg) at birth irrespective of gestational age (WHO definition). But some Indian scientists consider LBW as < 2kg.2) Very low birth weight# Any neonate weighing less than 1500 gm (1[?]5 kg) at birth irrespective of gestational age.3) Extremely low birth weight# Any neonate weighing less than 1000 gm (1 kg) at birth irrespective of gestational age.4) Appropriate for gestational age (appropriate for date)# Neonate with birth weight between 10th to 90th percentile.5) Small for gestational age (small for date)# Neonate with birth weight less than 10th percentile. These are the baby called as intrauterine growth retardation (IUGR).6) Large for gestational age (large for date)# Neonate with birth weight more than 90th percentile.7) Term neonate (term baby)# Neonate born between 37 and < 42 weeks (259-293 days), irrespective of birth weight.8) Preterm baby# Neonate born before 37 weeks (< 259 days), irrespective of birth weight.9) Post-term baby# Neonate born at or after 42 weeks (> 294 days), irrespective of birth weight.